Kallu, a 22 year old male had an outing with his friends and devloped fever of 38.5 degree C, diarrhoea and vomiting following eating chicken salad. 24 hours back. Two of his friends developed the same symptoms. The diagnosis is -
1. Salmonella enteritis poisoning
2. Bacillus cereus
3. Staphylococcus aureus
4. Vibrio cholera

Correct answer: 1. Salmonella enteritis poisoning

Explanation: - salmonellosis is primarily a disease of animals. Man get infection from farm animals and poultry through contaminated meat, milk ,egg. - incubation period is 12-24 hours. - onset of disease is sudden with chills , fever, nausea , vomiting and profuse watery diarrhoea for 2-3days. Reference : Park's textbook of preventive and social medicine, 23rd edition pg no: 238